Compared with calcium tungstate screens, rare earth screens decrease patient exposure by about
1. 15%
2. 35%
3. 55%
4. 75%

Correct answer: 3. 55%

Explanation: Compared with the older calcium tungstate screens, rare earth screens decrease patient exposure by 55% in panoramic and cephalometric radiography.